Cellular bearings of herediatary disease seen in:
1. DNA
2. Ribosome
3. RNA
4. Membrane

Correct answer: 1. DNA

Explanation: A i.e. DNAHereditary information is preserved in DNA. Thus all genetic diseases are due to change in DNAQ.